In neurofibromatosis 1 most common tumor is
1. Optic nerve glioma
2. Cerebral astrocytoma
3. Glioblastoma multiforme 8
4. Meningioma

Correct answer: 1. Optic nerve glioma

Explanation: Optic nerve glioma is an astrocytoma common in patients with neurofibromatosis 1. It is tumor of children most commonly seen in girls Refer khurana 6/e 419